Middle meningeal artery arises from
1. Middle cerebral artery
2. Superior temporal artery
3. Facial artery
4. Maxillary artery

Correct answer: 4. Maxillary artery

Explanation: Middle meningeal arteryIt is typically the third branch of the first part (retromandibular part) of the maxillary artery, one of the two terminal branches of the external carotid artery.After branching off the maxillary artery in the infratemporal fossa, it runs through the foramen spinosum to supply the dura mater and the calvaria.The middle meningeal artery is the largest of the three (paired) arteries which supply the meninges, the others being the anterior meningeal artery and the posterior meningeal artery.